Calcium requirement per day during the third trimester of pregnancy :
1. 20 mg
2. 100 mg
3. 750 mg
4. 1000 mg

Correct answer: 4. 1000 mg

Explanation: 1000 mg